Gram-positive bacteria stain during Gram staining
1. Blue
2. Red
3. Violet
4. Green

Correct answer: 3. Violet

Explanation: Gram-positive bacteria have a thick mesh-like cell wall made of peptidoglycan, and as a result are stained purple by crystal violet, whereas gram-negative bacteria have a thinner layer, so do not retain the purple stain and are counter-stained pink by safranin or carbol fuchsin. Ref : Ananthanarayana textbook of Microbiology 9th edition Pgno : 13